Submental lymph nodes drains from ?
1. Centre of lower lips
2. Posterior 1/3 of tongue
3. Anterior 2/3 of tongue
4. Angle of mouth

Correct answer: 1. Centre of lower lips

Explanation: Submental lymph nodesThese lymph nodes lie on the mylohyoid in the submental triangle. The receive afferents from superficial tissue below chin, central part of lower lip, adjoining gums, anterior part of the floor of the mouth and tip of the tongue. These nodes, themselves, drain into (efferent) into submandibular nodes.